Patient wants to scratch for itching in his amputated limb is an example of ?
1. Illusion
2. Pseudohallucination
3. Phantom limb hallucination
4. Autoscopy hallucination

Correct answer: 3. Phantom limb hallucination

Explanation: Ans. C. Phantom limb hallucinationPhantom limb hallucination - The person feels his body parts intact in their respective places even after they are lost through amputation or injury.In the question given patient feels itching in the amputated limb and tries to scratch the limb. Thus it is an example of phantom limb hallucination.